Which of the following is the anaesthetic agent of choice in renal failure?
1. Isoflurane
2. Enflurane
3. Methoxyflurane
4. None of the above

Correct answer: 1. Isoflurane

Explanation: Isoflurane is the anaesthetic drug of choice in renal failure. It is useful in all degrees of renal impairment. Due to minimal hepatic metabolism resulting in very low levels of inorganic fluorides and because of its low cardiac arrythmogenicity isoflurane is an ideal agent for patients with renal failure. Ref: Drug Dosage in Renal Insufficiency By G. Seyffa, Page 313 ; Meyler's Side Effects of Drugs Used in Anesthesia By Jeffrey K. Aronson, Page 19 ; Foye's Principles of Medicinal Chemistry By William O. Foye, 6th Edition, Page 500